Cryoprecipitate contains:
1. Factor II
2. Factor V
3. Factor VIII
4. Factor IX

Correct answer: 3. Factor VIII

Explanation: Ans. C: Factor VIII Cryoprecipitate is prepared from plasma and contains fibrinogen, von Willebrand factor, factor VIII, factor XIII and fibronectin. Cryoprecipitate is the only adequate fibrinogen concentrate available for intravenous use. Cryoprecipitate is indicated for bleeding or immediately prior to an invasive procedure in patients with significant hypofibrinogenemia ( Cryoprecipitate should not be used for patients with von Willebrand disease or Hemophilia A (Factor VIII deficiency). It is not usually given for Factor XIII deficiency, as there are virus-inactivated concentrates of this protein available. Cryoprecipitate is sometimes useful if platelet dysfunction associated with renal failure does not respond to dialysis.